Rorschach test measures :
1. Intelligence
2. Creativity
3. Personality
4. Neuraticism

Correct answer: 3. Personality

Explanation: C i.e. Personality